Superficial inguinal lymph node drains A/E:
1. Toes & finger
2. Perineum
3. Gluteal region
4. Anterior abdominal wall below umbilicus

Correct answer: 1. Toes & finger

Explanation: A i.e. Toes & fingers